Not absorbed from the PCT
1. Na+
2. Phosphate
3. HCO3-
4. H+

Correct answer: 4. H+

Explanation: PCT is the convoluted portion of the vertebrate nephron lying between Bowman's capsule and the loop of Henle; functions in the resorption of sugar, sodium and chloride ions, and water.Ref: Ganong's review of medical physiology; 24th edition; page no; 685